New RNTCP initiative for Tuberculosis surveillance using case based web based IT system is
1. NIKSHAY
2. NISCHAY
3. E-DOTS
4. NIRBHAYA

Correct answer: 1. NIKSHAY

Explanation: (A) NIKSHAY[?]REVISED NATIONAL TUBERCUIOSIS CONTROL PROGRAMME (RNTCP)oIn 1993, in order to overcome these lacunae, the Government of India decided to give a new thrust to TB control activities by revitalizing the NTP, with the assistance from international agencies.oThe Revised National TB Control Programme (RNTCP) thus formulated, adopted the internationally recommended Directly Observed Treatment Short-course (DOTS) strategy, as the most systematic and cost-effective approach to revitalize the TB control programme in India.oPolitical and administrative commitment, to ensure the provision of organized and comprehensive TB control services was obtained. Adoption of smear microscopy for reliable and early diagnosis was introduced in a decentralized manner in the general health services. DOTS was adopted as a strategy for provision of treatment to increase the treatment completion rates.oSupply of drugs was also strengthened to provide assured supply of drugs to meet the requirements of the system.oThe objectives of the RNTCP are:1. Achievement of at least 85 per cent cure rate of infectious cases of tuberculosis; through DOTS involving peripheral health functionaries; and2. Augmentation of case finding activities through quality sputum microscopy to detect at least 70 per cent of estimated cases.[?]New InitiativesoThe RNTCP has completed the feasibility study of introducing GeneXpert in RNTCP in 18 Tuberculosis Units in 12 states. RNTCP is currently using CB NAAT for the diagnosis of tuberculosis and MDT-TB in high risk population like HIV positive and paediatric groups.[?]NIKSHAY:oThe word is combination of two Hindi words NI and KSHAY meaning eradication of tuberculosis.owww.nikshav.gov.inNIKSHAY () is a web enabled application, which facilitates monitoring of universal access to TB patients data by all concerned.oTB surveillance using case based web based IT system-Central TB Division in collaboration with National Informatics Centre has undertaken the initiative to develop a case based web based application named Nikshay.-This software was launched in May 2012 and has following functional components.-Master management-User details-TB Patient registration and details of diagnosis, DOT provider, HIV status, follow-up, contact tracing, outcomes.-Details of solid and liquid culture and DST, LPA, CBNMT details.-DR-TB patient registration with details.-Referral and transfer of patients.-Private health facility registration and TB notification.-Mobile application for TB notification.-SMS alerts to patients on registration.-SMS alerts to programme officers.-Automated periodic reports: a. Case finding; b. Sputum conversion; c. Treatment outcome.ObjectivesAchievementsPromoting real time TB surveillance64425 notified TB Patients (up to 20.02.2014) in NikshayMinimizing patient default rate222 private health facilities have been registered & 908 TB patients notified by themLinking TB database with UIDOther Options[?]NIRBHAYA: Fund can be utilized for projects for women safety & security. Central Government ministry of women & child development is the nodal authority for appraising recommend the proposal schemes to be funded under Nirbhaya scheme.[?]Nischay-Home based pregnancy test kits- (PTKs) was launched under NRHM in 2008 across the country.oThe PTKs are being made available at sub-centres and to the ASHAs to facilitate the early detection and decision making for the outcomes of pregnancy.[?]Electronic DOT (eDOT) is an alternative method to in-person DOT in which a patient is remotely observed (E.g., over a smartphone) taking his or her TB medication